Investigation of choice to detect Hydatiform mole is:
1. X-ray abdomen
2. USG
3. Serum HCG level
4. Gravindex

Correct answer: 2. USG

Explanation: USG